A patient, Sunder is admitted to the emergency with severe bradycardia following drug overdose. The concerned drug was being taken for hypertension. Which of the following cannot be the drug?
1. Clonidine
2. Hydralazine
3. Propanolol
4. Reserpine

Correct answer: 2. Hydralazine

Explanation: Hydralazine is a vasodilator and can result in reflex tachycardia. All other drugs listed (clonidine, propanolol, reserpine) decrease the activity of sympathetic system and can result in bradycardia.